Lipoprotein associated with carrying cholesterol from peripheral tissues to liver is ?
1. HDL
2. LDL
3. VLDL
4. IDL

Correct answer: 1. HDL

Explanation: HDL particles transport cholesterol from extrahepatic tissues to liver (i.e. reverse cholesterol transport) which is then excreted through bile.